"Onion skin" fibrosis of bile duct is seen in -
1. Primary biliary cirrhosis
2. Primary sclerosing cholangitis
3. Extrahepatic biliary fibrosis
4. Congenital hepatic fibrosis

Correct answer: 2. Primary sclerosing cholangitis

Explanation: Ans (b) Primary sclerosing cholangitisRef: Robbings pathology 9th ed. I860PRIMARY SCLEROSING CHOLANGITIS* Leads to obstructive jaundice leading to elevation of serum transaminases, gamma glutamyl transferase and alkaline phosphatase* Typical onion skin fibrosis of bile ducts* Per-cutaneous transhepatic cholangiography demonstrates irregularity and beading of the hepatic and common bile ducts in three patients.# Onion skin appearance in kidney seen in hyperplastic arteriosclerosis# Onion skin like lesions due to arteritis seen in Lymes and SLE# Onion skin fibrosis around bile ducts seen in PSC# Onion skin pattern of deposition of reactive bone in ewing s sarcoma# Onion bulb appearance in sural nerves seen in CIDP due to recurrent demyelination and remyelination